Manifestations of epidemic Dropsy are all except –
1. Gastrointestinal bleed
2. Cutaneous hemangiomas
3. Breathlessness
4. CHF

Correct answer: 1. Gastrointestinal bleed